Mycosis fungoides is?
1. T cell lymphoma
2. B cell lymphoma
3. Mixed
4. Plasma cell tumour

Correct answer: 1. T cell lymphoma

Explanation: ANSWER: (A) T cell lymphomaREF: Harrison's 18th ed chapter 110B CellT CellHodgkin's DiseasePrecursor B cell neoplasmPrecursor T cell neoplasmNodular lymphocyte- predominant Hodgkin's diseasePrecursor B lymphoblastic leukemia/ lymphoma (precursor B cell acute lymphoblastic leukemia)Precursor T lymphoblastic lymphoma/leukemia (precursor T cell acute lymphoblastic leukemia) Mature (peripheral) B cell neoplasmsMature (peripheral) T cell neoplasmsClassical Hodgkin's diseaseB cell chronic lymphocytic leukemia/ small lymphocytic lymphomaT cell prolymphocytic leukemiaNodular sclerosis Hodgkin's disease B CellT CellHodgkin's DiseaseB cell prolymphocytic leukemiaT cell granular lymphocytic leukemiaLymphocyte-rich classic Hodgkin's diseaseLymphoplasmacytic lymphomaAggressive NK cell leukemiaMixed-cellularity Hodgkin's diseaseSplenic marginal zone B cell lymphoma (+- villous lymphocytes)Adult T cell lymphoma/Ieukemia (HTLV-I+)Lymphocyte-depletion Hodgkin's diseaseHairy cell leukemiaExtranodal NK/T cell lymphoma, nasal type Plasma cell myeloma/plasmacytomaEnteropathy-type T cell lymphoma Extranodal marginal zone B cell lymphoma of MALT typeHepatosplenic T cell lymphoma Mantle cell lymphomaSubcutaneous panniculitis-like T cell lymphoma Follicular lymphomaMycosis fungoides/Sezary's syndrome Nodal marginal zone B cell lymphoma (+- monocytoid B cells)Anaplastic large cell lymphoma, primary cutaneous type Diffuse large B cell lymphomaPeripheral T cell lymphoma, not otherwise specified (NOS) Burkitt's lymphoma/Burki11 s cell leukemiaAngioimmunoblastic T cell lymphoma Anaplastic large cell lymphoma, primary systemic type